Poland Syndrome is
1. Congenital absence of Pectoralis minor
2. Acquired Weakness and disuse atrophy of Pectoralis minor
3. Acquired Weakness and disuse atrophy of Pectoralis major
4. Congenital absence of Pectoralis major

Correct answer: 4. Congenital absence of Pectoralis major

Explanation: Poland Syndrome is Congenital absence of Pectoralis major